Green blue postmortem discoloration is seen in which poisoning -
1. Cyanide
2. Carbon monoxide
3. Phosphorous
4. Hydrogen sulphide

Correct answer: 4. Hydrogen sulphide

Explanation: The colour of postmortem hypostasis in hydrogen sulphide poisoning is bluish green. It is an asphyxiant which inhibits cytochrome oxidase. Dr.Narayana Reddys Synopsis of Forensic Medicine and Toxicology 27th edition pg. 76,313.